Not an alkylating agent:
1. Iphosphamide
2. Chlorambucil
3. Paclitaxel
4. Nitrosoureas

Correct answer: 3. Paclitaxel

Explanation: Ans) c (Paclitaxel) Ref: Katzung 11th editionAlkylating agents AltietamineDacarbazineBend amu stineLomu stineBusulfanMechlorethamineCarmustineMelphalanChlorambucilTemozolomideCyclophosphamide/ThiotepaIphosphamide This table is very important. Do remember it well!Cell Cycle-SpecificNonspecific(CCS) AgentsCell Cycle-(CCNS) AgentsAntimetabolitesAlkylating agentsCapecitabineCladribineCytarabineFludarabine5- Fluorouracil (5-FU) Gemcitabine6- Mercaptopurine (6-MP) Methotrexate (MTX)6-Thioguanine (6-TG)BusulfanCarmustineCyclophosphamideLomustineMechlorethamineMelphalanThiotepaAnthracyclinesDaunorubicinDoxorubicinEpirubicinIdarubicinMitoxantroneAntitumor antibioticBleomycinEpipodophyllotoxinsEtoposideTeniposideAntitumor antibioticsDactinomycinMitomycinTaxanesAlbumin-boundPaclitaxelDocetaxelPaclitaxelCamptothecinsIrinotecanTopotecanVinca alkaloidsVinblastineVincristineVinorelbinePlatinum analogsCarboplatinCisplatinOxaliplatin